Angle of jaw (or) skin over angle of mandible is supplied by
1. Great auricular nerve
2. Lesser occipital nerve
3. Greater occipital nerve
4. Posterior auricular nerve

Correct answer: 1. Great auricular nerve